Which of the following statements describing restriction endonucleases is true?
1. They always yield overhanging single-stranded ends
2. They recognize methylated DNA sequences
3. They recognize triplet repeats
4. They cleave both strands in duplex DNA

Correct answer: 4. They cleave both strands in duplex DNA

Explanation: Inside a prokaryote, the restriction enzymes selectively cut up foreign DNA in a process called restriction; meanwhile, host DNA is protected by a modification enzyme (a methyltransferase) that modifies the prokaryotic DNA and blocks cleavage. Together, these two processes form the restriction modification system A palindromic recognition site reads the same on the reverse strand as it does on the forward strand when both are read in the same orientation Restriction enzymes recognize a specific sequence of nucleotides and produce a double-stranded cut in the DNA